Osmoreceptors are present in :
1. Anterior hypothalamus
2. Internal carotid artery
3. Left atrium
4. Ventricle

Correct answer: 1. Anterior hypothalamus

Explanation: A i.e. Anterior hypothalamus